Hoffman-Rigler sign for enlargement of the left ventricle is seen on:
1. PA view of the chest
2. AP view of the chest
3. Apicogram of the chest
4. Lateral view of the chest

Correct answer: 4. Lateral view of the chest

Explanation: Ans DThe Hoffman-Rigler sign Q is a sign of left ventricular enlargement Q inferred from the distance between the inferior vena cava and left ventricle. On a lateral chest radiograph Q, if the distance between the left ventricular border and the posterior border of IVC exceeds 1.8 cm, at a level 2 cm above the intersection of diaphragm and IVC, left ventricular enlargement is suggested. Hoffman-Rigler sign should not be confused with Rigler sign, Rigler triad or Rigler notch sign.